Adenocarcinonia in oesophagous occurs in -
1. Middle esophagus
2. Upper esophagus
3. Barret's ulcer
4. None of the above

Correct answer: 3. Barret's ulcer